Gene for eye morphogenesis
1. Pax-6
2. BMP-4
3. HOX-D13
4. HOX-A13

Correct answer: 1. Pax-6

Explanation: Ans. is 'a' i.e., Pax-6The Pax-6 gene locus is a transcription factor for various genes and growth factors involved in eye formation.Pax-6 is a master control gene for eye morphogenesis and encodes for Paired box protein Pax-6 (also called aniridia type II protein or oculorhombin).